False about branchial cyst is:
1. it develops from the remnants of 2nd branchial cleft
2. Usually line by squamous epithelium
3. Found at the anterior border of lower third of Sternocleidomastoid muscle
4. Treatment involves complete excision

Correct answer: 3. Found at the anterior border of lower third of Sternocleidomastoid muscle

Explanation: Branchial cyst is found at the junction of upper third & middle third of Sternocleidomastoid over anterior border.